Which one of the following pulses has the highest content of iron -
1. Bengal gram
2. Black gram
3. Red gram
4. Soyabean

Correct answer: 4. Soyabean

Explanation: Soya beans contain 10.4g of iron. REF. PARK'S TEXTBOOK OF PREVENTIVE AND SOCIAL MEDICAL 21ST EDITION. PAGE NO - 628